All of the following are causes of Rhabdomyolysis, Except:
1. Cocaine Intoxication
2. Hyperphosphatemia
3. Hypokalemia
4. Crush injury

Correct answer: 2. Hyperphosphatemia

Explanation: Answer is B (Hyperphosphaternia): Rhabdomyolysis may be caused by hypophosphatemia and not by hyperphosphatemia. Selected few other Causes of Rhabdomyolysis (Inconclusive list): Physical Trauma Crush injury Heat stress Electrocution Exercise Hypothermia Malignant hyperthermia Neuroleptic malignant syndrome Severe burns Contact sports Direct muscle trauma Metabolic Hypokalemia Hypophosphatemia Diabetic ketaoacidosis Diabetic hyperosmolar non ketotic coma Myxedemia Carnitine deficiency Hereditary muscle enzyme deficiency Phosphorylase deficiency (McArdle's disease) Phosphofructokinase deficiency Glucosidase deficiency Carnitine palmityltransferase deficiency Inflammation Anoxic injury Arterial occlusion Seizures Tetanus Compartment syndrome Delirium tremens Toxins Ethanol Heroin Barbiturates Cocaine Amphetamine Benzodiazepines Phencyclidine HMG-CoA reductase inhibitors (statins) Fibric acid derivatives (clofibrate, gemfibrozil) Hemlock Salicylates Carbon monoxide Ethylene glycol Isopropyl alcohol Snake and insect venoms Succinylcholine Colchicinc Propofol Para-phenylenediamine Colchicum autumnale (autumn crocus) Monensin